Kuppuswamy classification is based on all EXCEPT:
1. Income
2. Education
3. Occupation
4. Type of house

Correct answer: 4. Type of house

Explanation: ANSWER: (D) Type of houseREF: Park's 22 Ed page 641, First handbook of psychological and social instruments by Udai Pareek, T. Venkateswara Rao page 284, Social, Behavioural and Communication Sciences by WHO Page 612, 613 (http: // ivhoindia.org/ LinkFiles /Human _Resources _Section4- Textbook _on_Public _Health _and _Community_Medicine.pdf)Repeat Community Medicine December 2011"Social class is determined on the basis of various scales like Kuppuswamy's scale for Urban and Prasad's scale and Pareek's scale for Rural"Kuppuswami scale is widely used to measure the socio-economic status of an individual in urban community. It is based on three variables namelyEducationOccupationIncomeThe modification of Kuppusxvami scale meant to determine the socioeconomic status of family based on education and occupation of head of the family and per capital income per month has also been widely used. Recently, Mishra et al have suggested an economic revision of Kuppuswami's scale in order to account for the devaluation of rupee and is proposed to measure the socio-economic status of the family and is neither based on the individual nor on the head of the family.KUPPUSWAMY SCALEScoreEducationProfession or honours7Graduate or post graduate6Intermediate or post high school diploma5High school certificate4Middle school certificate3Primary school certificate2Illiterate1OccupationProfession10Semi-profession6Clerical, shop-owner, farmer5Skilled worker4Semi-skilled worker3Unskilled worker2Unemployed1Family income per month fin Rs.)>2000121000-199910750-9996500-7494300-4993101-2992<1001Socioeconomic classUpper26-29Upper middle16-25Lower middle11-15Upper lower5-10Lower0<5Pareek's Scaler: The Socio-Economic Scale (rural) developed by Pareek attempts to measure socio-economic status of a rural family. It is based on the nine items as follows : Caste; Occupation of head of family; Education; Levels of social participation; Land holding; Farm power (prestige animals); Housing; Material possessions; and, Family type. The combined score for the nine items is graded to indicate socio-economic class categories.